The sequence of events in glycogenolysis?
1. Phosphorylase, Glucan transferase, Debranching, Phosphorylase
2. Debranching, Phosphorylase, transferase, phosphorylase
3. Transferase, phosphorylase, Debranching, phosphorylase
4. Any of the above

Correct answer: 1. Phosphorylase, Glucan transferase, Debranching, Phosphorylase

Explanation: Phosphorylase, Glucan transferase, Debranching, Phosphorylase

Enzymes of glycogenolysis come into play in the following sequence : (i) Glycogen phosphorylase → (ii) Glucan transferase → (iii) Debranching enzyme.